The term "Dementia praecox" was coined by
1. Freud
2. Bleuler
3. Kraepelin
4. Schneider

Correct answer: 3. Kraepelin

Explanation: Although earlier descriptions of schizophrenia-like illness are recorded in the literature (such as in Ayurveda; Kahlbaum's description of catatonia; Hecker's description of hebephrenia), the scientific study of the disorder began with the description of dementia praecox by Emil Kraepelin. Ref: A Short Textbook of Psychiatry, Niraj Ahuja, 7th Edition, pg. no. 54